Investigation of choice for amoebic liver abscess:
1. Demonstration of parasites in stool
2. Serum Entamoeba antibodies
3. Aspiration of cyst fluid
4. X-ray abdomen

Correct answer: 2. Serum Entamoeba antibodies

Explanation: Ans: B i.e. Serum Entamoeba antibodies Diagnosis of amoebic liver disease Analysis of serum for Entamoeba antibodies by immunoassay carries 99% sensitivity and more than 90% specificity, and is more accurate than stool analysis in amoebic liver disease Diagnosis may depend on cyst aspiration revealing the classic anchovy sauce appearance of the cyst fluid